Which of the following statement about NSAIDs is FALSE?
1. They interfere with the antihypertensive effect of diuretics
2. NSAIDs are useful in neuropathic pain
3. NSAIDs should be avoided in renal disease as they can cause nephrotoxicity
4. Many NSAIDs can be used topically

Correct answer: 2. NSAIDs are useful in neuropathic pain

Explanation: Neuropathic pain: gabapentin, pregablin, carbamezepine etc cancer and MI pain- opioids other pains- NSAIDS NSAIDS Classification A. Nonselective COX inhibitors (traditional NSAIDs) 1.Salicylates: Aspirin 2.Propionic acid derivatives: Ibuprofen, Naproxen, Ketoprofen, Flurbiprofen. 3.Fenamic acid derivative: Mephenamic acid 4.Oxicam derivatives: Piroxicam, Tenoxicam. 5.Pyrrolo-pyrrole derivative: Ketorolac 6.Indole derivative: Indomethacin. 7.Pyrazolone derivative: phenylbutazone, Oxyphenbutazone B. Preferential COX-2 inhibitors Nimesulide, Meloxicam, Nabumeton, Diclofenac, Aceclofenac C. Selective COX-2 inhibitors Celecoxib, Etoricoxib, Parecoxib. D. Analgesic-antipyretics with poor anti-inflammatory action 1.para aminophenol derivatives: Paracetamol 2.Pyrazolone derivative: Metamizole, Propyphenazone. 3.Benzoxazine derivative: Nefopam Mechanism of action of NSAIDs 1.Anti-inflammatory effect due to the inhibition of the enzymes that produce prostaglandin H synthase (cyclooxygenase, or COX), which converts arachidonic acid to prostaglandins, and to TXA2 and prostacyclin. Aspirin irreversibly inactivates COX-1 and COX-2 by acetylation of a specific serine residue. This distinguishes it from other NSAIDs, which reversibly inhibit COX-1 and COX-2. 2.Analgesic effect A. The analgesic effect of NSAIDs is thought to be related to: the peripheral inhibition of prostaglandin production may also be due to the inhibition of pain stimuli at a subcortical site. B.NSAIDs prevent the potentiating action of prostaglandins on endogenous mediators of peripheral nerve stimulation (e.g., bradykinin). 3.Antipyretic effect The antipyretic effect of NSAIDs is believed to be related to: inhibition of production of prostaglandins induced by interleukin-1 (IL-1) and interleukin-6 (IL-6) in the hypothalamus the "resetting" of the thermoregulatory system, leading to vasodilatation and increased heat loss ESSENTIALS OF MEDICAL PHARMACOLOGY;7TH EDITION;KD TRIPATHI;PAGE NO;193